A 58-year-old female employee of a housecleaning business visits the outpatient clinic with a complaint of constant, burning pain in her knees. Clinical examinations reveal a "housemaid's knee" condition. Which of the following structures is most likely affected?
1. Prepatellar bursa
2. Infrapatellar bursa
3. Posterior cruciate ligament
4. Patellar retinacula

Correct answer: 1. Prepatellar bursa

Explanation: (a) Source: GAS 577, 578; GA 306 Excessive compression of the prepatellar bursa, as in working on bended knees, can result in pain and swelling of the prepatellar bursa, the socalled housemaid's knee. Prepatellar bursitis affects plumbers, carpet layers, and other people who spend a lot of time on their knees. The bursa normally enables the patella to move smoothly under the skin. The constant friction of these occupations irritates this small lubricating sac (bursa) located just in front of the patella, resulting in a deformable tense cushion of fluid. Treatment usually requires simple drainage, but this may need to be repeated and occasionally steroids introduced. Excessive irritation of the infrapatellar bursa in kneeling for frequent and long periods of time (as in prayer) can result in "parson's knee." The posterior cruciate ligament of the knee can be injured in sudden, strong flexion of the knee, with posterior displacement of the tibia upon the femur. The patellar retinacula are strong, tendinous bands of tissue that join the quadriceps tendon to the vastus lateralis and medialis muscles. The lateral meniscus is a cartilaginous structure between the lateral condyles of the femur and tibia.